In case of non-hemorrhagic infarct in cerebral cortex, reactive astrocytes can be seen as early as ________ after the insult.
1. 1 hr
2. 1 day
3. 1 week
4. 1 month

Correct answer: 3. 1 week

Explanation: Reactive astrocytes Can be seen as early as 1 week after the insult. As the process of liquefaction and phagocytosis proceeds, astrocytes at the edges of the lesion progressively enlarge, divide, and develop a prominent network of cytoplasmic extensions.